The mineral having action like vitamin E -
1. Calcium
2. Iron
3. Selenium
4. Magnesium

Correct answer: 3. Selenium

Explanation: Ans. is 'c' i.e., Selenium o Selenium functions as an antioxidant along with vitamin E.o Selenium is a constituent of glutathione peroxidase, an antioxidant enzyme which prevents against oxidative damage.o Selenium also is a constituent of iodothyronine deiodinase, the enzyme that converts thyroxine triiodothyronine.